Which one of the following is NOT a feature of Kartagener's syndrome:
1. Bronchiectasis
2. Ciliary dyskinesia
3. Dysphagia
4. Situs inversus

Correct answer: 3. Dysphagia

Explanation: Ans. (c) Dysphagia(Ref: Robbins 9th/pg 683-684)Kartagener syndrome refers to bronchiectasis, sinusitis, and situsinversus; QIt is seen in 50% patients with primary ciliary dyskinesia